In which of the following rheumatoid factor is not present in serum?
1. Rheumatoid arthritis
2. Felty's syndrome
3. Still's disease
4. Present in all of the above

Correct answer: 3. Still's disease

Explanation: Still's disease is a variant of rheumatoid arthritis where rheumatoid factor is not seen.